Prions diseases are-a) Alzheimer's diseaseb) Gerstmann straussler Scheinkan syndromec) Familial Fatal insomniad) Frontotempotal dementiae) Creutz- feldt Jakob disease
1. ab
2. bc
3. bce
4. ace

Correct answer: 3. bce